Vitamin which is excreted in urine is
1. Vitamin A
2. Vitamin C
3. Vitamin D
4. Vitamin K

Correct answer: 2. Vitamin C

Explanation: vitamin A, D, E, and K are known as fat or lipid soluble Their availability in the diet, absorption and transport are associated with fat. Fat soluble vitamins can be stored in liver and adipose tissue They are not readily excreted in urine. Most of the water soluble vitamins are readily excreted in urine and they are not toxic to the body Water soluble vitamins are not stored in the body except Vit B12 Vit C is water soluble and is excreted in urine ref Satyanarayana 4th ed page 118